What is the complication of the diuretic phase of acute renal failure?
1. Convulsion
2. Hyperkalemia
3. Increased sodium excretion in urine
4. Metabolic Alkalosis

Correct answer: 3. Increased sodium excretion in urine

Explanation: The recovery phase of ATN is characterized by regeneration of tubular epithelial cells. Abnormal diuresis occurs, causing salt and water loss and volume depletion. The urine output gradually returns to normal, but serum creatinine and urea levels may not fall for several more days. Tubular dysfunction may persist and is manifested by sodium wasting, polyuria unresponsive to vasopressin. The mechanism of the diuresis is not completely understood, but it may in part be due to the delayed recovery of tubular cell function in the setting of increased glomerular filtration.